Thermophilus sachari causes ?
1. Bagassosis
2. Siderosis
3. Byssinosis
4. Anthracosis

Correct answer: 1. Bagassosis

Explanation: Bagassosis 

Bagassosis is the name given to an occupational disease of the lung caused by inhalation of bagasse or sugarcane dust.
Bagassosis has been shown to be due to a termophilic actinomycete → Thermoactinomyces sacchari.